Left spinal leminiscus contains which fibers?
1. Left sided pain, touch, temperature
2. Left sided position, vibration sense
3. Right sided pain, touch, temperature
4. Right sided position, vibration sense

Correct answer: 3. Right sided pain, touch, temperature

Explanation: Ans. C Right sided pain, touch, temperatureRef: Grays, 41 ed. pg. 299, 309* First order neuron carrying pain, touch, temperature enter the spinal cord, relay in same side.* Second order neurons cross over to other side and travel up in anterior and lateral spino-thalamic tract and enter the medulla.* Same Fibers are now known as spinal lemniscus and they relay at thalamus. So spinal lemniscus on the left contain pain touch temperature from right side of the body.